The most heat sensitive vaccine i s-
1. Measles
2. Hepatitis B
3. DPT
4. OPV

Correct answer: 4. OPV

Explanation: - non stabilised OPV is highly heat sensitive and should be stored at -20degC in a deep freeze until used. - a primary problem of OPV is the instability of vaccine at high ambient temperature. Reference : Park's textbook of preventive and social medicine, 23rd edition, pg no:207